Causative agent for oriental sore is:
1. Onchocerca volvulus
2. Leishmania donovani
3. Leishmania tropica
4. Brugya malayi

Correct answer: 3. Leishmania tropica

Explanation: Ans. C: Leishmania tropica Oriental sore is a skin disease, occurring in tropical and subtropical Africa and Asia, caused by the parasitic protozoan Leishmania tropica. It is a specific granuloma of the skin, endemic within certain limited areas in warm countries; characterized primarily by a papule, gradually enlarging by peripheral and subjacent infiltration,with scaling or crusting, and which usually, sometimes with an inter-vening furunculoid stage, slowly breaks down and develops into an indolent ulcer. The disease takes the form of a slow-healing open sore or ulcer, which sometimes becomes secondarily infected with bacteria. Leishmania donovani causes kala-azar. Leishmania braziliensis causes muco-cutaneous leishmaniasis